Maternal sources account for what percentage of fetal thyroxine at term
1. 10%
2. 30%
3. 50%
4. 70%

Correct answer: 2. 30%

Explanation: 30% of fetal thyroxine at term is derived from mother.